Primary anatomic structure of concern in posterior mandible periradicular surgery
1. Neurovascular bundle coursing through infraorbital canal.
2. Neurovascular bundle near incisive foramen
3. NeurovascuLar bundle near palatine foramen
4. Neurovascular bundle coursing through mandibular canal.

Correct answer: 4. Neurovascular bundle coursing through mandibular canal.